Injury to the motor division of the mandibular nerve will cause paralysis of the following except:
1. Medial pterygoid
2. Masseter
3. Buccinator
4. Anterior belly of digastric

Correct answer: 3. Buccinator